Dysthvroid eye disease of Type-1 orbitopathy shews
1. Symmetric, mild proptosis and lid retraction
2. Asymmetric, proptosis and lid lag
3. Conjunctival congestion and lid edema
4. Chemosis, lid edema and lagophthalmos

Correct answer: 1. Symmetric, mild proptosis and lid retraction

Explanation: (A) Symmetric, mild proptosis and lid retraction> In mild disease, patients present with eyelid retraction. In fact, upper eyelid retraction is the most common ocular sign of Graves' orbitopathy. This finding is associated with lid lag on infraduction (Von Graefe's sign), eye globe lag on supraduction (Kocher's sign), a widened palpebral fissure during fixation (Dalrymple's sign) and an incapacity of closing the eyelids completely (lagophthalmos).> Due to the proptosis, eyelid retraction and lagophthalmos, the cornea is more prone to dryness and may present with chemosis, punctate epithelial erosions and superior limbic keratoconjunctivitis.> The patients also have a dysfunction of the lacrimal gland with a decrease of the quantity and composition of tears produced. Non- specific symptoms with these pathologies include irritation, grittiness, photophobia, tearing, and blurred vision. Pain is not typical, but patients often complain of pressure in the orbit. Periorbital swelling due to inflammation can also be observed.